What is the function of Micro RNA?
1. Gene Regulation
2. Splicing of pre mRNA
3. Initiation of Translation
4. Carry message for protein synthesis

Correct answer: 1. Gene Regulation

Explanation: Micro RNA is a form of small, single stranded RNA, 18-25 nucleotides long. It is transcribed from DNA and instead of being translated into a protein, it regulates the functions of other genes involved in protein synthesis. mRNA are genes that modulates other protein coding genes. Ref: MicroRNA Protocols By Shao-Yao Ying, Page 1; Molecular Biology of The Gene By Watson, Page 443; Textbook of Biochemistry By DM Vasudevan, 3rd Edition, Pages 357-9; RNA Purification and Analysis: Sample Preparation, Extraction, Chromatography By Douglas T. Gjerde, Lee Hoang, David Hornby, Page 78; Regulation of in Vitro Pre-mRNA Splicing By hnRNP A1 Cooperative Binding By Hazeem L. Okunola, State University of New York at Stony Brook, Page 2